All of the following are uses of mifepristone except?
1. Termination of pregnancy
2. Post coital contraception
3. Post partum hemorrhage
4. Cushing's syndrome

Correct answer: 3. Post partum hemorrhage

Explanation: Ans. is 'c' i.e., Post partum hemorrhage o Mifepristone is used in medical termination of pregnancy (most important use), postcoital (emergency) contraception, Cushing syndrome, meningioma, breast cancer, fibroids and endometriosis.